All are true of attack rate except
1. It is type of prevalence rate
2. Expressed as percentage
3. Used when population is exposed to risk for a limited period of time
4. Reflects extent of epidemic

Correct answer: 1. It is type of prevalence rate

Explanation: Ref:Parks 23rd edition pg 61 Attack rate (case rate) is an incidence rate. Usually expressed in percent Used only when population is exposed to risk for a limited period of time as in an epidemic. Reflects the extent of epidemic. Attack rate = (no. of new cases of a specified disease during a specified time interval / Total population at risk during the same interval) x100